Meig's syndrome is associated with ovarian:
1. Teratoma
2. Brenner tumour
3. Fibroma
4. Theca cell tumour

Correct answer: 3. Fibroma

Explanation: Ans. C: Fibroma Meigs' syndrome, is the triad of ascites, pleural effusiion and benign ovarian fibroma. It resolves after the resection of the tumour. For reasons unknown, the pleural effusion is classically on the right side